Type of schizophrenia with intellectual disability -
1. Von-Gogh syndrome
2. Paranoid schizophrenia
3. Catatonic schizophrenia
4. Pfropf schizophrenia

Correct answer: 4. Pfropf schizophrenia

Explanation: Schizophrenia when occurs in the presence of intellectual disability is called pfropf syndrome.
Von-Gogh syndrome is dramatic self-mutilation in schizophrenia.